Tetracycline chelates with
1. Ca salts
2. Mg salts
3. Al salts
4. All of the above

Correct answer: 4. All of the above